Type II respiratory failure best relates to which of the following?
1. Alveolar hypoventilation
2. Alveolar flooding
3. Hypoperfusion of respiratory muscles
4. Lung atelectasis

Correct answer: 1. Alveolar hypoventilation

Explanation: TYPE II RESPIRATORY FAILUREThis type of respiratory failure is a consequence of alveolar hypoventilation and results from the inability to eliminate carbon dioxide effectively. Mechanisms are categorized by Impaired central nervous system (CNS) drive to breathe (drug overdose, brainstem injury, sleep-disordered breathing, and severe hypothyroidism), Impaired strength with failure of neuromuscular function in the respiratory system. Reduced strength can be due to impaired neuromuscular transmission (e.g., myasthenia gravis, Guillain-Barre syndrome, amyotrophic lateral sclerosis) or respiratory muscle weakness (e.g., myopathy, electrolyte derangements, fatigue).Increased load(s) on the respiratory system. The overall load on the respiratory system can be subclassified into Resistive loads (e.g., bronchospasm), Loads due to reduced lung compliance (e.g., alveolar edema, atelectasis, intrinsic positive end-expiratory pressure --see below), Loads due to reduced chest wall compliance (e.g., pneumothorax, pleural effusion, abdominal distention), and ads due to increased minute ventilation requirements (e.g., pulmonary embolus with increased dead-space fraction, sepsis).Ref: Harrison 19e pg: 1732